Which of the following is responsible for respiratory burst and production of superoxide ions?
1. Hydrolase
2. Catalase
3. Perxidase
4. NADPH oxidase

Correct answer: 4. NADPH oxidase

Explanation: Ans. is 'd' i.e., NADPH oxidase The final step in the microbial killing is due to reactive oxygen species called as respiratory burst. Phagocytes require an enzyme to produce reactive oxygen species to destroy bacteria after they ingest the bacteria in a process called phagocytosis. ROS are produced by the rapid assembly and activation of a multicomponent oxidase, NADPH oxidase and, in the process, reduces oxygen to superoxide anion (02). In neutrophils, this oxidative reaction is triggered by activating signals and accompanies phagocytosis, and is called the respiratory burst.